Office headache is due to inflammation of which sinus?
1. Frontal
2. Maxillary
3. Ethmoidal
4. Sphenoid

Correct answer: 1. Frontal

Explanation: Office Headache: Headache on sunrise & relief at sunset is seen in Frontal sinusitis (Typical) SITE OF TENDERNESS Maxillary Cheek & Alveolus Frontal Below eyebrow (Office headache) Ethmoid Medial canthus of eye Sphenoid Vertex